Not a feature of paralytic squint
1. Diplopia
2. Confusion
3. Nausea and vertigo
4. Amblyopia

Correct answer: 4. Amblyopia

Explanation: Paralytic squint

Diplopia
Confusion
Ocular deviation
Nausea & vertigo.